Hemodiolysis is not useful in -
1. Digitalis
2. Theophylline
3. Salicylates
4. All

Correct answer: 1. Digitalis

Explanation: Ans. is 'a' i.e., Digitalis Hemodialysis is not effective in o Amphetamines o Antipsychotics o Digoxin o beta-blockers o Antidepressants o Diazepam o Quinidine